In which of the following microcytic hypochromic anemia is not seen?
1. Iron deficiency anemia
2. Anemia of chronic disease
3. Thalassemia
4. Aplastic anemia

Correct answer: 4. Aplastic anemia

Explanation: Causes of hypochromic microcytic anemias are (a) iron deficiency (b) anemia of chronic inflammation (c) sideroblastic anemia and (d) thalassemia. In aplastic anemia the pathology is bone marrow failure.